Diagnostic test of choice for neurosyphilis is -
1. VDRL
2. FTA-ABS
3. TPI
4. RPR

Correct answer: 1. VDRL